Cataract is NOT seen with
1. Steroids
2. Vitamin B12 deficiency
3. Diabetes mellitus
4. Homocystinuria

Correct answer: 2. Vitamin B12 deficiency

Explanation: (B) Vitamin B12 deficiency # CAUSES OF CATARACT> Age: Age is the most common cause> Trauma: Blunt trauma, Electrical injuries> Radiation: Ultraviolet light: glassblowers, Lasers> Genetics Chromosome abnormalities associated with cataracts -- 1 q21.1 deletion syndrome, cri-du-chat syndrome, Down synd ome, Patau's syndrome, trisomy 18 (Edward's syndrome), and Turner's syndrome, and Neurofibromatosis type 2. Examples of single-gene disorder -- Alport's syndrome, Conradi's syndrome, myotonic dystrophy, and oculocerebrorenal syndrome or Lowe syndrome.> Skin diseases: Atopic dermatitis & Eczema: Ichthyosis (cuneiform cataracts); Basal-cell nevus & Pemphigus> Smoking and alcohol> Medications: Corticosteroids, Antipsychotics, Miotics> Post-operative: Vitrectomy, Cataract Surgery> Metabolic and nutritional diseases: Aminoaciduria or Lowe's syndrome, Diabetes mellitus, Fabry's disease, Galactosemia /galactosemic cataract, Homocystinuria, Hyperparathyroidism, Hypoparathyroidism, Hypervitaminosis D, Hypothyroidism, Hypocalcaemia, Mucopolysaccharidoses, Wilson's disease> Congenital: Congenital syphilis, Cytomegalic inclusion disease, Rubella, Cockayne syndrome\> Genetic syndromes: Down syndrome, Patau syndrome, Edwards syndrome> Infections: Cysticercosis, Leprosy, Onchocerciasis, Toxoplasmosis, Varicella> Secondary to other eye diseases: Retinopathy of prematurity, Aniridia, Uveitis, Retinal detachment, Retinitis pigmentosa